Registration of birth & death with a 6 monthly survey is done in -
1. National sample survey
2. Vital statistical system
3. Census
4. Sample registration system

Correct answer: 4. Sample registration system

Explanation: Ans. is 'd' i.e., Sample registration system Sample registration systemo Sample registration system (SRS), initiated in mid 1960s provides reliable estimates of birth (fertility) and death (mortality) rates at state and national Levels.o It is a dual record system .consisting of continuous enumeration of birth and death by an enumerator and an independent survey every 6 months by an investigator supervisor,o Main objective of SRS is to provide reliable estimates of birth rate, death rate and infant mortality' rate at the natural division level for rural areas and at state level for urban areas,o Infant mortality rate is the decisive indicator for estimation of sample size at natural division.o Sample design for SRS is unistage stratified simple random sample. SRS now covers entire country.o Finding of recent SRS (2013), According to 23rd/e of ParkCrude Birth Rate (CBR) : 21 -6 per 1000 mid-year population.Crude Death Rate (CDR) : 7-0 per 1000 mid-year population.Natural Growth Rate : 14'5 per 1000 mid-year population.Infant Mortality' Rate (IMR): 42 per 1000 live births.